E-Z Gold is compacted by:
1. Electro mallet
2. Hand condenser
3. Pneumatic mallet
4. Hand mallet

Correct answer: 2. Hand condenser

Explanation: With the exception of E-Z Gold, the compaction takes the form of malleting forces that are delivered either by a hand mallet used by the assistant or by an Electro-Mallet (McShirley Products, Glendale, CA) or a pneumatic mallet used by the dentist.
E-Z Gold, because of its powdered form, may be compacted by heavy hand pressure delivered in a rocking motion  with specially designed hand condensers.
Successful malleting of the gold foil may be achieved with any of the currently available equipment. Some operators prefer the Electro-Mallet or the pneumatic mallet because a dental assistant is not required for the procedure.
Reference: Sturdevant operative dentistry. 7th EDITION, Page No:e70